Extensor Carpi radialis Longus is
1. Extensor and ulnar deviator of the wrist
2. Extensor and radial Deviator of the wrist
3. Injured in Posterior interosseus nerve injury
4. Weak extensor of the wrist

Correct answer: 2. Extensor and radial Deviator of the wrist

Explanation: Extensor carpi radialis Longus is a primary extensor and radial deviator of the wristIt is supplied by the radial nerve and not the PINLoss of function cause wrist drop(Refer: Mohindra's Fundamentals of Orthopedics, 2nd edition, pg no. 235, 266)